The colour of fluorescein staining in corneal ulcer is:
1. Yellow
2. Blue
3. Royal blue
4. Green

Correct answer: 4. Green

Explanation: Ans. Green